Familial hypocalciuric hypercalcemia has mild elevation of calcium and PTH levels. It occurs secondary to what mutation?
1. Missense mutation of mitochondrial calcium receptor
2. Missense mutation of ribosomal calcium surface protein
3. Missense mutation of Golgi complex receptor
4. Mutation of calcium - sensing receptor(CaSR)

Correct answer: 4. Mutation of calcium - sensing receptor(CaSR)